Marcus Gunn pupil is a feature of:
1. Optic neuritis
2. Papilledema
3. Ciliary ganglion lesions
4. Lesion of Edinger-Westphal nucleus

Correct answer: 1. Optic neuritis

Explanation: Ans. Optic neuritis